Auer rods are seen in:
1. ALL
2. AML
3. CLL
4. CML

Correct answer: 2. AML

Explanation: Ans. B: AML